Thrombolytic therapy with streptokinase is contraindicated in all of the following except :
1. Supraventricular tachycardia
2. Recent trauma
3. Recent cerebral bleeding
4. Recent surgery

Correct answer: 1. Supraventricular tachycardia